What is Cock's Peculiar tumour -
1. Ulceration of sebaceous cyst on the scalp
2. Calcifying epithelioma
3. Mesothelioma of pleura
4. Osteomylitis of skull

Correct answer: 1. Ulceration of sebaceous cyst on the scalp

Explanation: Ans. is 'a' i.e., Ulceration of sebaceous cyst on the scalp o Cocks peculiar tumour is actually a complication of sebaceous cyst -# When the sebaceous cyst of the scalp ulcerates excessive granulation tissue forms resembling fungating epithelioma. This is called cock's peculiar tumour.Also know these terms -o Cylindroma -# A malignant epithelial tumour also k/a Turban tumor# Known as cylindroma because of histological appearanceo Pilomatrixoma (Calcifying epithelioma of Malherbe)# It is a benign hair follicle derived tumouro Pott's puffy tumour# It is osteomyelitis of the skull associated with subperiosteal swelling and edema.